The blood supply of the medulla comes from all of the following, EXCEPT?
1. Posterior inferior cerebellar artery
2. Vertebral artery
3. Spinal arteries
4. Superior cerebellar artery

Correct answer: 4. Superior cerebellar artery

Explanation: Blood supply to the medulla is supplied byAnterior spinal artery: The anterior spinal artery supplies the whole medial part of the medulla oblongata.Posterior inferior cerebellar artery: It is a major branch of the vertebral artery that supplies the posterolateral part of the medulla.Vertebral artery: It supplies an area between the other two main arteries, including the nucleus solitarius and other sensory nuclei and fibres.